Angina & sycope in same patient is seen in
1. Aortic stenosis
2. MVP
3. MS
4. AR

Correct answer: 1. Aortic stenosis